Which of the following cephalosporin is not active against anaerobes:
1. Cefoperazone
2. Cefotetan
3. Cefmetazole
4. Cefoxitin

Correct answer: 1. Cefoperazone